When the following amino acids are separated by running them on agarose gel, at pH 7, which one of them will migrate slowest to the anodic end?
1. Glycine
2. Valine
3. Aspartic acid
4. Lysine

Correct answer: 4. Lysine

Explanation: Anode is the positively charged electrode in electrophoresis cell. pI is that pH at which there is no net charge on amino acid. We can use the rule that an amino acid above its pI will be negatively charged while below its pI will be positively charged At pH 7, aspartic acid (pI= 2.77), Glycine (pI= 5.97) and Valine (pI = 5.96) will all be negatively charged and they will move fast - option b, c, d are excluded However, At pH 7, lysine (pI= 9.74) will be positively charged will move slower compared to all the three - option d is the answer